The commonest tumor of parotid is -
1. Mucoepidermoid
2. Mixed parotid tumour
3. Adenolymphoma
4. Squamous cell carcinoma

Correct answer: 2. Mixed parotid tumour